Which of the following is not a sequelae of trachoma?
1. Proptosis
2. Tylosis
3. Pseudocyst
4. Dacrocystitis

Correct answer: 1. Proptosis

Explanation: Proptosis REF: Khurana 4th ed p. 66 Sequelae of trachoma: Lids : entropion, tylosis, ptosis, madarosis , ankyloblepharon Conjuctiva: concretions, pseudocyst, xerosis, symblepharon. Cornea: opacity, ectasia, xerosis. Others: Dacrocystitis, chronic dacryoadenitis.